Blood-testis barrier is formed by
1. Sertoli cells
2. Leydig cells
3. Epididymis
4. Vas deferens

Correct answer: 1. Sertoli cells

Explanation: The name "blood-testis barrier" is misleading in that it is not a blood-organ barrier in a strict sense, but is formed between Sertoli cells of the seminiferous tubule and as such isolates the further developed stages of germ cells from the blood. imageref-sciencedirect.com